Nervous tissue Rabies vaccines are usually manufactured from
1. Duck embryos
2. Human diploid cell
3. Sheep
4. Chick embryos

Correct answer: 3. Sheep